Not true about polycystic kidney disease is ?
1. Autosomal dominant
2. Proteinuria <2gm/day
3. Leads to CRF
4. Decompression of cyst leads to normal renal function

Correct answer: 4. Decompression of cyst leads to normal renal function

Explanation: Ans is 'd' ie decompression of cyst leads